A 40 year old woman had undergone surgical ileal resection due to perforation caused by severe Crohn's disease. Which of the following physiological change occurs now?
1. A decrease in absorption of amino acids
2. An increase in the absorption of iron
3. An increase in the concentration of bile acid in the enterohepatic circulation
4. An increase in the water content of the faeces

Correct answer: 4. An increase in the water content of the faeces

Explanation: Absorption of amino acids is rapid in the duodenum and jejunum. There is a little absorption in the ileum in health because the majority of the free amino acids have already been assimilated at that point. Almost all iron absorption occurs in the duodenum. One cause of steatorrhea is defective reabsorption of bile acids in the distal ileum. When bile acid reabsorption is prevented by resection of the terminal ileum or by disease in this portion of the small intestine, the amount of fat in the stools is also increased because when the enterohepatic circulation is interrupted, the liver cannot increase the rate of bile acid production to a sufficient degree to compensate for the loss. Almost all iron absorption occurs in the duodenum. Reference: Ganong's Review of Medical Physiology; 25th edition; Page no: 480,482,484